Which of the following is the best view for visualizing minimal pneumoperitonium:
1. X-ray abdomen-erect view
2. X-ray abdomen-supine view
3. Left lateral decubitus with horizontal beam
4. Left lateral view with vertical beam

Correct answer: 3. Left lateral decubitus with horizontal beam

Explanation: Ans. C: Left lateral decubitus with horizontal beam